Long term used taxmoxifen causes :
1. Endometrium Ca
2. Ovary Ca
3. Cervix Ca
4. Vagina Ca

Correct answer: 1. Endometrium Ca

Explanation: Endometrium Ca